A 32 - year old obese woman is diagnosed with polycystic ovarian disease. She has irregular menstrual cycles around 8 → 10 menses per year. Your approach in management includes all except
1. Screen for dyslipidemia, diabetes mellitus and metabolic syndrome.
2. Give combined OCPs to prevent endometrial hyperplasia.
3. Lifestyle changes to focus on diet and exercise.
4. Weight loss to restore normal ovulatory cycles.

Correct answer: 2. Give combined OCPs to prevent endometrial hyperplasia.

Explanation: In women with PCOD, with fairly regular cycle intervals and mild hyperandrogenism, need not be treated. Advice lifestyle modifications and screen regularly.